Vasa vasora are functionally analogous to ?
1. Valves
2. Basal lamina
3. Coronary arteries
4. Endothelial diaphragms

Correct answer: 3. Coronary arteries

Explanation: Vasa vasorum are small blood vessels that supply walls of large blood vessels. It was thought coronary arteries are analogous to vasa vasorum. "Because heart originates from the primitive endocardial tube (ventral aorta) embryologically, coronary arteries that supply this tube can be thought as "cardiac vasa vasorum" like arterial vasa vasorum that supply peripheral arteries".